Christmas Tree profile variation is attributed to the following head shape of a diamond abrasive instrument
1. Flame
2. Needle
3. Interproximal
4. Taper

Correct answer: 2. Needle